About Hepatitis A vaccine schedule, true are all of the following EXCEPT?
1. Recommended at age of 12 months
2. 2 dose of killed vaccine 6 months apart
3. 1 dose of live vaccine
4. Recommended only in immunocompromised children

Correct answer: 4. Recommended only in immunocompromised children

Explanation: As per IAP, dose of Hepatitis A vaccine is: - Inactivated vaccine - given in child >1yr of age - 2 doses; 6 months apart - Live attenuated vaccine - given in child >1yr of age - 1 dose of H2 strain - IAP recommends Hep-A vaccination to all children